Inverted fir tree appearance on gelatin stab is characteristic of?
1. Mycoplasma
2. Bacillus anthracis
3. Clostridium
4. Bacteriodes

Correct answer: 2. Bacillus anthracis

Explanation: Virulent capsulated strains of Bacillus anthracis form rough culture, while avirulent or attenuated strains form smooth colonies. on gelatin stab culture, a characteristic 'inverted fir tree' appearance is seen with slow liquefaction commencing from the top. On blood agar the colonies are nonhemolytic though occasional strains produce a narrow zone of hemolysis .in broth growth occurs as floccular deposits with little or no turbidity REF:Ananthanarayan & Panicker's Textbook of Microbiology 8th Edition pg no: 243